Most common cause of CTEV -
1. Arthrogryposis multiplex congenita
2. Spina bifida
3. Idiopathic
4. Neural tube defect

Correct answer: 3. Idiopathic

Explanation: Ans. is 'c' i.e., Idiopathic Causes of CTEVo CTEV may be either primary or secondaryPrimary or IdiopathicIt is the most common type of CTEVFoot deformity (CTEV) is the only manifestation, otherwise musculoskeletal system is normal.SecondaryCTEV is a local manifestation of a systemic syndrome.Causes areNeurological disorders & neural tube defects eg myelomeningocele, & spinal dysraphismParalytic disorder (due to muscular imbalance) as polio, spina bifida, myelodysplasia, & Fredreich's ataxiaArthrogryposis multiplexaLarsen syndromeFreeman- sheldon syndromeDiastrophic dwarfismSacral agenesis, tibial deficiency, constriction rings & amniotic bands